True statement regarding Hirschsprung's disease?
1. Giant ganglia are present
2. Mucosa is involved and show foldings
3. Manometry excludes the disease
4. Rectal biopsy is contraindicated in infants

Correct answer: 3. Manometry excludes the disease

Explanation: Ans. is 'c' i.e., Manometry excludes the diagnosis o Anorectal manometry is a useful screening procedure for the diagnosis of Hirschsprung's disease. A normal response in course of manometric evaluation precludes diagnosis of Hirschsprung's disease. o However the confirmation of diagnosis in case of Hirschsprung's disease is done by rectal biopsy.